According to Spaulding's classification, which of the following is NOT a true statement?
1. Non-critical items require only decontamination
2. Semi-critical items are those that come in contact with mucous membranes and nonintact areas of the body
3. Cardiac catheter is an example of critical items
4. Semi-critical items require a low level of disinfection

Correct answer: 4. Semi-critical items require a low level of disinfection

Explanation: Spaulding's classification: Level of risk Application Process Critical Entry or penetration into sterile tissue, cavity or bloodstream Sterility required Semi-critical Contact with intact non sterile mucosa or non intact skin Sterilisation preferred where possible. If sterilisation is not possible then high-level chemical disinfection is required. Non-critical Contact with intact skin Clean as necessary with detergent and water Ref: An Illustrated Guide to Infection Control By Kathleen Motacki, MSN, RN, BC, Toros Kapoian, MD, FACP, 2011, Page 70.